Which of the following Nulcei of vagus receives special and general visceral afferents?
1. Dorsal Nucleus of Vagus
2. Nucleus Ambiguous
3. Spinal nucleus of trigeminal nerve
4. Nucleus of Solitary Tract

Correct answer: 4. Nucleus of Solitary Tract

Explanation: The nucleus tractua solitarius and associated tract receives special and general visceral afferents the facial (CN VII) glossopharyngeal (CN IX) and vagus (CN X) nerves. Nuclei of Vagus The vagus nerve includes axons which emerge from or converge onto four nuclei of the medulla. Efferent Nuclei of Vagus: The Dorsal nucleus of vagus nerve: General Visceral Efferent The nucleus ambiguous: Special Visceral Efferent Afferent Nuclei of Vagus: Spinal nucleus of the trigeminal nerve: General Somatic Afferents Nucleus of Solitary tract (or tractus Solitarius) : Special and General Visceral Afferents The nucleus tractus Solitarius and associated tract receives special and general visceral afferents the facial (CN VII), glossopharyngeal (CN IX) and vagus. Spinal nucleus of the trigeminal nerve : also received general somatic afferents from facial (CN VII), glossopharyngeal (CN IX) and vagus (CN X) nerves. In addition to the trigeminal nerve. The nucleus ambiguous gives rise to the brachial efferent motor fibers of the vagus nerve (CN X) terminating in the laryngeal, pharyngeal muscles, and soft palate as well as to the efferent motor fibers of the glossopharyngeal nerve (CN IX) terminating in the stylopharyngeus muscle. Ref: BDC 7th edition volume 4 Pgno: 50